middle aged women with B/L proptosis with restricted ocular movements and chemosis is euthyroid what is probable diagnosis
1. Orbital cellulitis
2. Thyroid ophthalmspathy
3. Pseudotumor of orbit
4. orbital lymphoma

Correct answer: 2. Thyroid ophthalmspathy

Explanation: ref : ak khurana 7th ed